Posterior pituitary bodies are
1. Herring bodies
2. Brain sand
3. Golgi bodies
4. Amyloid bodies

Correct answer: 1. Herring bodies

Explanation: (A) Herring bodies ,# An interesting histologic feature of the NEUROHYPOPHYSIS is the presence of Herring bodies.> When viewed with an electron microscope, these are dilated areas or bulges in the terminal portion of axons that contain clusters of neurosecretory granules> The granules contain oxytocin or antidiuretic hormone, along with their associated neurophysins.> Herring bodies often are seen in association with capillaries.> They are somewhat difficult to identify unambiguously by light microscopy; in the image to the right, the label might better say ' probable Herring bodies".